Crypta magna is seen in
1. Nasopharyngeal tonsil
2. Lingual tonsil
3. Tubal tonsil
4. Palatine tonsil

Correct answer: 4. Palatine tonsil

Explanation: APPLIED ANATOMY OF PALATINE (FAUCIAL) TONSILS Medial surface of the tonsil is covered by nonkeratinizing stratified squamous epithelium which dips into the substance of tonsil in the form of crypts. Openings of 12-15 crypts can be seen on the medial surface of the tonsil. One of the crypts, situated near the upper part of tonsil is very large and deep and is called crypta magna or intratonsillar cleft. It represents the ventral part of second pharyngeal pouch. From the main crypts arise the secondary crypts, within the substance of tonsil. Crypts may be filled with cheesy material consisting of epithelial cells, bacteria and food debris which can be expressed by pressure over the anterior pillar. Ref:- Dhingra; pg num:-257